The blood supply to femoral head is mostly by
1. Lateral circumflex femoral artery
2. Medial circumflex femoral artery
3. Ligamentum teres artery
4. Obturator artery

Correct answer: 2. Medial circumflex femoral artery

Explanation: The blood supply of the Femoral Head is derived mainly from retinacular arteries which are the branches of Medial Circumflex Femoral Artery .